Alcohol abuse is associated with an increased risk of all the following types of cancer EXCEPT:
1. Breast
2. Esophageal
3. . Liver
4. Cervical

Correct answer: 4. Cervical

Explanation: Alcohol abuse increases the risk of esophageal and laryngeal cancer, as well as liver cancer. A modest increase in the risk of breast cancer has been demonstrated in woman who drink more than 2 drinks per day. Cancer of the cervix has not been associated with alcohol use.